Which of the following is anticarious in nature
1. Sucrose
2. Xylitol
3. Complex carbohydrates
4. Glucose

Correct answer: 2. Xylitol

Explanation: Xylitol is a sweetener that inhibits the growth of MS. Numerous studies seem to confirm its anticariogenic capability. Clinically effective levels of xylitol show MS strains with reduced adhesion to the teeth and other reduced virulence properties, such as less acid production.Xylitol has been tested as an additive to a variety of foods and to dentifrices. However, the vast majority of published data come from studies in which xylitol was incorporated into chewing gum. Mäkinen has reported numerous studies on the topic, most of them performed with many different co-workers in different parts of the world. In 2000 he published a concise summary entitled, “The Rocky Road of Xylitol to Its Clinical Application.” A recent evidence-based review concluded that there is insufficient evidence that the use of xylitol gum, chlorhexidine varnish or gel, or calcium supplementation in mothers lowers the incidence of caries in their children. Clinicians may consider recommending xylitol use to moderate- or high-caries-risk  patients.  Those  recommending  xylitol should be familiar with the product labeling and recommend age-appropriate products. They should routinely reassess a child for changes in caries-risk status and adjust recommendations accordingly.